Iron dextran is given in A/E -
1. Macrocytic anemia
2. Severe blood loss
3. Iron deficiency anemia
4. Hookworm anemia

Correct answer: 1. Macrocytic anemia